Drug which is contraindicated before 2nd stage of labor is:
1. Mifepristone
2. Oxytocin
3. Misoprostol
4. Ergometrine

Correct answer: 4. Ergometrine

Explanation: Ans. D: Ergometrine Drugs used for medical method of induction of labour are: Mifepristone Oxytocin Misoprostol (Prostaglandins El) Ergometrine is contraindicated in pregnancy, 1st stage of labour, 2nd stage of labour before crowning of the head and in breech delivery prior to crowning.